The presence of large quantities of unabsorbed solutes in the renal tubule causes an increase in urine volume this is called
1. Osmotic diuresis
2. Osmotic natriuresis
3. Water intoxication
4. Water diuresis

Correct answer: 1. Osmotic diuresis

Explanation: Diuresis due to a high concentration of osmotically active substances in the renal tubules (for example, urea, sodium sulfate), which limit the reabsorption of water.Ref: Ganong's review of medical physiology; 24th edition; page no; 689